Frei's test is used in diagnosing which of the following condition?
1. Lymphogranuloma venereum
2. Lymphogranuloma inguinale
3. Donovanosis
4. Soft chancre

Correct answer: 1. Lymphogranuloma venereum

Explanation: Frei's test is used in the diagnosis of Lymphogranuloma venereum. NAATS is currently recommended by the CDC as the diagnostic assay of choice. Lymphogranuloma venereum is a sexually transmitted infection of lymphatic tissue caused by Chlamydia trachomatis serotypes L1, L2, and L3. It is transmitted through sexual contact with men more frequently affected than women. The most common presentation in heterosexuals is the presence of a tender, usually unilateral inguinal and/or femoral lymphadenopathy. Ref: Gaydos C.A., Quinn T.C. (2012). Chapter 176. Chlamydial Infections. In D.L. Longo, A.S. Fauci, D.L. Kasper, S.L. Hauser, J.L. Jameson, J. Loscalzo (Eds),Harrison's Principles of Internal Medicine, 18e.